All of the following are methods of cellular adaptation EXCEPT -
1. Atrophy
2. Hyperplasia
3. Hypertrophy
4. Dysplasia

Correct answer: 4. Dysplasia

Explanation: (D) (Dysplasia) (5-Robbins-Basic Pathology 9th)Cellular Adaptations to stressAdaptations are reversible changes in the number, size, phenotype, metabolic activity, or functions of cells in response to changes in the their environment.Physiologic AdaptationPATHOLOGIC ADAPTATION* Hormones* Endogenous chemical mediators e.g. Hormone induced enlargement of the breast and uterus during pregnancy.* Modulate their structure and function and thus escape injury.CELLULAR ADAPTATIONS TO STRESS:* Hypertrophy: Increased cell and organ size, often in response to increased workload; induced by growth factors produced in response to mechanical stress or other stimuli; occurs in tissues incapable of cell division.* Hyperplasia: Increased cell numbers in response to hormones and other growth factors; occurs in tissues whose cells are able to divide or contain abundant tissue stem cells.* Atrophy: Decreased cell and organ size, as a result of deceased nutrient supply or disuse; associated with decreased synthesis of cellular building blocks and increased breakdown of cellular organelles.* Metaplasia: Change in phenotype of differentiated cells, often in response to chronic irritation, that makes cells better able to with stand the stress; usually induced by altered differentiation pathway of tissue stem cells; may result in reduced functions or increased propensity for malignant transformation.